Valvoplasty done in following except -
1. Coarctation of aorta
2. PS
3. MS
4. AS

Correct answer: 1. Coarctation of aorta

Explanation: Valvoplasty is not done in coarctation of aorta. It is done in valvular diseases like PS, MS, AS etc.